Where is the cardiac plexus located?
1. Posterior to the bifurcation of the trachea
2. Anterior to the bifurcation of the trachea
3. Anterior to the left heart border
4. Posterior to the apex of the heart

Correct answer: 2. Anterior to the bifurcation of the trachea

Explanation: Cardiac plexus Plexus of nerves situated at the base of the heart. Formed by cardiac branches derived from both the sympathetic and parasympathetic nervous systems. Divided into : Superficial part : Lies beneath aortic arch , in front of the right pulmonary artery Deep part : Situated in front of the tracheal bifurcation above the point of division of the carina and behind the aortic arch.